The thinnest part of the lens capsule is?
1. Anterior pole
2. Posterior pole
3. Posterior capsule
4. Apex

Correct answer: 2. Posterior pole

Explanation: ANSWER: B